Which of the following causes Meliodosis ?
1. Burkholderia mallei
2. Burkholderia pseudomallei
3. Burkholderia cepacia
4. None

Correct answer: 2. Burkholderia pseudomallei

Explanation: Ans. is 'b' i.e., Burkholderia pseudomallei * Burkholderia mallei - Glanders disease* Burkholderia pseudomallei - Melioidosis